Cobras belong to-
1. Viperidae
2. Elapidae
3. Colubridae
4. Crotalide

Correct answer: 2. Elapidae

Explanation: Cobra belongs to elapidea family.